Rose spot is associated with
1. Typhoid fever
2. Malaria
3. Scarlet fever
4. Wilson disease

Correct answer: 1. Typhoid fever

Explanation: a. Typhoid fever(Ref: Nelson's 20/e p 1390)Skin rash in Enteric fever:In 25% of cases, a macular or maculopapular rash (rose spots) may be visible around the 7th-10th day of the illnessLesions may appear in crops of 10-15 on the lower chest and abdomen and last 2-3 daysThese lesions may be difficult to see in dark-skinned children.